Acntholysis is characteristic of-
1. pemphigus vulgaris
2. Pemphigoid
3. Erythema multoforme
4. Dermatitis herpctiforrnis

Correct answer: 1. pemphigus vulgaris

Explanation: HP of pemphigus vulgaris shows a suprabasal cleft with bulla formation just above the basal layer with a tomb stone appearance and with blister cavity containing acantholytic cells and inflammatory cells.Page no 282. Reference IADVL's concise textbook of dermatology